. Exposure of a female fetus to androgen in early embryogenesis may arrest differenitation of:
1. Mullerian ducts
2. Ovary
3. urogenital sinus
4. Mesonephric ducts

Correct answer: 3. urogenital sinus

Explanation: This is common sense. We have discussed so many times that in females exposure of androgens in early embryogenesis results in ambiguous external genitalia.
The external genitalia are formed by urogenital sinus (so it is our answer of choice)